Which of the following is not a High Risk Characteristic in proliferative diabetic retinopathy
1. NVD >= 1/3 - 1/2 disc area
2. NVD + Vitreous or Preretinal haemorrhage
3. NVE >= 1/2 disc area and Preretinal or Vitreous haemorrhage
4. NVD + Clinically signifacnt macular edema

Correct answer: 4. NVD + Clinically signifacnt macular edema

Explanation: Proliferative Diabetic Retinopathy Early PDR- Presence of new vessels High risk PDR NVD >= 1/3 - 1/2 disc area or NVD and Vitreous or Preretinal haemorrhage or NVE >= 1/2 disc area and Preretinal or Vitreous haemorrhage